Diffuse multiple bone involvement, cafe-au-lait pigmentation and endocrine disturbances are the features of:
1. McCune Albright syndrome
2. Jaffe's syndrome.
3. Mazabrauds syndrome
4. All of the above

Correct answer: 1. McCune Albright syndrome

Explanation: Polyostotic Fibrous dysplasia is of 2 types. In Jaffe type there is multiple bone involvement associated with cafe-au-lait spots. Extreme or diffuse multiple bone involvement, cafe-au-lait pigmentation, and endocrine disturbances are important features of McCune-Albright's syndrome. In polyostotic form, the curvature of femoral neck and proximal shaft of the femur increase markedly causing a shepherd's crook deformity.